Least cariogenic among these:
1. Raw starch.
2. Cooked starch.
3. Sucrose.
4. Fructose

Correct answer: 1. Raw starch.